Hemodialysis is absolutely indicated in:
1. Methanol
2. Benzodiazepine
3. Organophosphorus
4. Amphetamine

Correct answer: 1. Methanol

Explanation: Ans. is 'a' i.e. Methanol Hemodialysis - is used for removing following poisons from blood:Barbiturates*Salicylates*Methanol*Boric acid*Glutethimide*Thiocyanates*